All are true about gunshot entry wound except -
1. Entry wound is smaller than exit wound
2. Entry wound is surrounded with collar
3. Entry wound is everted
4. Entry wound is inverted

Correct answer: 3. Entry wound is everted

Explanation: Entry wound in inverted (except in contact shot where it is everted)
Entry wound is smaller than exit wound (except in contact shot where it is larger).
Entry wound is surrounded by 3 collars : Abrasion/contusion collar, Dirt/grease collar and lead collar.